A patient presented with thunder clap headache. Followed by unconsciousness with progressive 3rd cranial nerve palsy -
1. Extradual hemorrhage
2. Aneurysmal subarachnoid hemorrhage
3. Basilar migraine
4. Cluster Headache

Correct answer: 2. Aneurysmal subarachnoid hemorrhage